Bizygomatic width divided by 3.3 gives approximately
1. a) Mesio-distal width of lower anterior teeth
2. b) Mesio-distal width of upper anterior teeth
3. c) Mesio-distal width of upper teeth from molar to molar
4. d) Mesio-distal width of lower teeth from molar to molar

Correct answer: 2. b) Mesio-distal width of upper anterior teeth